Most common site of subphrenic abscess is
1. Right anterior intraperitoneal space
2. Right posterior intraperitoneal space
3. Left anterior intraperitoneal space
4. Left posterior intraperitoneal space

Correct answer: 2. Right posterior intraperitoneal space

Explanation: Right posterior intra-peritoneal space(Right subhepatic space/Rutherford Morison's kidney pouch) is bounded in front by the liver & gallbladder,above by the liver,behind by the right kidney & diaphragm,below by the transverse colon & hepatic flexure,to the left by foramen of Winslow & duodenum.It is the largest and deepest space of all.It is the most common site of subphrenic abscess.Causes include appendicitis,cholecystitis,post operative,perforated duodenal ulcer,intestinal obstruction. Reference:SRB' s manual of surgery,5th edition,page no:575.